Temporomandibular ligament limits which movement of TMJ?
1. Protrusive
2. Retrusive
3. Both
4. None

Correct answer: 2. Retrusive